Which of the following drugs has a high surface activity and vasoconstrictor actions that reduce bleeding in mucus membranes?
1. Bupivacaine
2. Cocaine
3. Lidocaine
4. Procaine

Correct answer: 2. Cocaine

Explanation: (Ref: KDT 6/e p356, 357) All LAs are vasodilators except cocaine. It possesses vasoconstrictor activity. Cocaine also has good surface activity.